Man in the only host for
1. Dracunculus medinensis
2. Trichuris trichura
3. Onchocerca volvolus
4. Wuchereria bancrofti

Correct answer: 2. Trichuris trichura

Explanation: Obligate Host: Means the only host
– Man in Measles
– Man in Typhoid